Oncocytes are found in all of the following, except:
1. Thyroid
2. Kidneys
3. Pituitary
4. Pineal body

Correct answer: 4. Pineal body

Explanation: Pineal body